Incubation period of HiN, influenza ?
1. 3 days
2. 2 weeks
3. 3 weeks
4. 4 weeks

Correct answer: 1. 3 days

Explanation: Ans. is 'a' i.e., 3 days The incubation period of pandemic influenza A (H1N1) is 2-3 days, but could range upto 7 days (1 week). On 26th september 2011 WHO has adapted a new nomenclature as Influenza A (HINI) pdm 09. Case difinitions : ? Suspected case : - A person with acute febrile respiratory illness (fever 38degC) with onset : (1) Within 7 days of close contact to confirmed case of influenza A (F111\\11) 2009; or within 7 days of travel to areas where there are confirmed cases; or (3) Resides in a community where there are confirmed cases. Probable case : - A person with acute febrile respiratory illness who : (1) is positive for influenza A, but unsubtypable for H1 and H3 by influenza -PCR or reagents used to detect seasonal influenza virus infection; or (2) is positive for influenza A by influenza rapid test or IFA and meets criteria for suspected case; or (3) who died of an enexplained acute respiratory illness who is considered to be epidemiologically linked to a probable or confirmed case. Confirmed case : - A person with acute febrile respiratory illness with laboratory confirmed influenza A (H1N1) 2009 by one or more of following : (i) Real time PCR; (ii) viral culture; (iii) four-fold rise in virus specific neutrilizing antibodies.